Dose of I-131 given to patients with carcinoma thyroid
1. 10 mCi
2. 100 mCi
3. 10 uCi
4. 100 uCi

Correct answer: 2. 100 mCi

Explanation: Schwartz says "If there is significant uptake, then a therapeutic dose of I-131, 30 to 100 mCi should be administered to low-risk patients and 100 to 200 mCi in high-risk patients of differentiated Thyroid carcinoma.